All of the following are the Sporicidal agents among the following except -
1. Bleaching powder and ethylene oxide
2. Ethyl and isopropyl alcohol
3. Iodine and chlorine compounds
4. Hydrogen peroxide and bleaching powder

Correct answer: 2. Ethyl and isopropyl alcohol

Explanation: Ethyl and isopropyl alcohol are potent bactericidal, fungicidal, virucidal and tuberculocidal, but does not destroy bacterialspores . Chlorine and chlorine compounds : They are potent bactericidal, fungicidal, sporicidal, tuberculocidal and virucidal. Iodine is bactericidal, fungicidal, virucidal and lethal to spore-bearing organisms. Hydrogen peroxide is bactericidal, virucidal, sporicidal and fungicidal. Ethylene oxide which kills bacteria, spores and viruses.